All of the following are considered microskeletal units of the mandible as per the matrix theory EXCEPT:
1. Chin
2. Glenoid fossa
3. Coronoid process
4. Angle of the mandible

Correct answer: 2. Glenoid fossa